Sacrotuberous Ligament is pierced by:
1. S1 Nerve
2. L5 Nerve
3. Coccygeal Nerve
4. None

Correct answer: 3. Coccygeal Nerve

Explanation: The Sacrotuberous Ligament is pierced by the Coccygeal Branches of the Inferior Gluteal Artery, the Perforating Cutaneous Nerve (S2,3) and filaments of the Coccygeal Plexus (formed by S4,S5 & Coccygeal Nerve).